Treatment for clostridial myonecrosis is?
1. Amikacin
2. Penicillin
3. Ampicillin
4. Gentamycin

Correct answer: 2. Penicillin

Explanation: Penicillin REF: Goodman and Gillman 11th edition page 736Clostridial gas gangrene is a highly lethal necrotizing soft tissue infection of skeletal muscle caused by toxin- and gas-producing Clostridium species. The synonym clostridial myonecrosis better describes both the causative agent and the target tissue" The goals of pharmacotherapy are to reduce morbidity and to prevent complications Penicillin G is the drug of choice for gas gangrene due to clostridia; the dose is 12-20 million units per day given parenterally. Adequate debridement of the infected areas is essential. Management of choice is however hyperbaric oxygen therapy.